Laser used in cutting out cataract capsule is
1. Nd : YAG laser
2. Argon laser
3. DYE laser
4. Diode

Correct answer: 1. Nd : YAG laser

Explanation: A i.e. Nd:YAG Laser